Uricosuric drug not used in acute gout is ?
1. NSAIDs
2. Colchicine
3. Corticosteroids
4. Sulfinpyrazone

Correct answer: 4. Sulfinpyrazone

Explanation: Ans. is 'd' i.e., Sulfinpyranzone Treatment of acute gout Treatment of acute goute is mainly to control symptoms, i.e. pain, swelling etc. The symptoms of acute gout are due to inflammation in the joints. So, drugs which decrease inflammation, are used in acute gout, i.e. antiinflammatory drugs. Drugs are - NSAIDs Colchicine Corticosteroids NSAIDs are the drug of choice for acute gout - They are prefered over colchicine because they are better tolerated. Indomethacin is often chosen because of its strong anti-inflammatory action and efficacy.-Laurence 9th/e 297 Aspirin should not be used as it can cause hyperuricemia. Colchicine is the fast acting drug in acute gout, it is used when NSAIDs are contraindicated. If neither NSAIDs nor colchicine are tolerated, oral prednisolone is used. Allopurinol and uricosuric drugs (sulfinpyrazone, probenacid) are not effective in acute gout because they will not relieve symptoms as they dont have antiinflammatory property.